Maximum protein to lipid ratio is seen in -
1. Inner mitochondrial membrane
2. Outer mitochondrial membrane
3. Sarcoplasmic reticulum
4. Myelin sheath membrane

Correct answer: 1. Inner mitochondrial membrane

Explanation: Ans. is 'a' i.e., Inner mitochondrial membrane o Mitochondrial inner membrane has maximum protein contents with highest protein to lipid ratio and cell membrane in myelin has lowest protein to lipid ratio.o Protein to lipid ratio in decreasing order of frequency is as follows:o Inner mitochondrial membrane (3.2): Maximum > Sacroplasmic reticulum (2[?]0) > outer mitochondrial membrane (1[?]1) = Human erythrocyte cell membrane (1.1) > Myelin sheath cell (plasma) membrane (0-23): Minimumo In all the membranes, proteins content is higher than lipid, with only one major exception of myelin which has higher lipid content that protein to provide good insulation.